Most essential medicines should be formulated as:
1. No compound
2. Single compound
3. Multiple compounds
4. Fixed dose combinations

Correct answer: 2. Single compound